The dose of which antibiotic need not be altered in renal failure?
1. Vancomycin
2. Ethambutol
3. Erythromycin
4. Ciprofloxacin

Correct answer: 3. Erythromycin

Explanation: Antimicrobials needing dose reduction, in renal failure 1. Vancomycin 2. Ethambutol 3. Metronidazole 4. Aminoglycosides 5. Amphotericin B 6. Cephalexin 7. Acyclovir 8. Flucytosine 9. Cotrimoxazole 10. Carbenicillin 11. Cefotaxime 12. Norfloxacin 13. Ciprofloxacin ref - pubmed.com